Which of the following drug is not a blocker of L-type of calcium channels?
1. Dilitiazem
2. Amlodipine
3. Ethosuximide
4. Verapamil

Correct answer: 3. Ethosuximide

Explanation: L type Ca2+ channels present in CVS T type Ca2+ channels present in CNS Ethosuximide is a blocker of T type of calcium channels and is used for treatment of absence seizures. 3 groups of L-type CCB: Phenylalkylamines Benzothiazepines Dihydropyridines Verapamil Diltiazem Nifedipine Nicardipine Nimodipine Amlodipine Nimodipine: Cerebro-selective CCB Clinidipine: Blocks both L- Ca2+ and T- Ca2+.